Which of the following accompanies the anterior interventricular artery?
1. Great cardiac vein
2. Middle cardiac vein
3. Small cardiac vein
4. Right marginal vein

Correct answer: 1. Great cardiac vein

Explanation: In Coronary sulcus
-        Great cardiac vein, small cardiac vein, coronary sinus, right coronary artery, left circumflex artery
 In anterior interventricular sulcus
-        Great cardiac vein, left anterior descending artery
 In posterior interventricular sulcus
-        Middle cardiac vein, posterior interventricular branch of right coronary artery